Serotonin, a mediator of inflammation in our body, is secreted /released by:
1. Leukocytes
2. Endothelial cell
3. Mast cell
4. Platelet

Correct answer: 4. Platelet

Explanation: Answer- D. PlateletSerotonin :It is found in the intestinal mucosa, brain tissue & platelets.Release of serotonin (and histamine) from platelets is stimulated when platelets aggregate after contact with collagen, thrombin, adenosine diphosphate (ADP), and antigen-antibody complexes.